In opioid overdose treatment of choice is
1. Naloxone IV
2. Nalorphine IV
3. Haemodialysis
4. Forced alkaline diuresis

Correct answer: 1. Naloxone IV

Explanation: (A) Naloxone IV